The roof of the olfactory region is formed by
1. Nasal bone
2. Cribriform plate of ethmoid
3. Sphenoid
4. Temporal bone

Correct answer: 2. Cribriform plate of ethmoid

Explanation: The bony part of the olfactory region is formed by: The vomer and The perpendicular plate of ethmoid.It's margins receive contributions from nasal spine of the frontal bone, the rostrum of the sphenoid and the nasal crests of the nasal palatine and maxillary bones. The cartilaginous part is formed by: The septal cartilage and The septal processes of the inferior nasal cartilages. The cuticular part or lower end is formed by fibrofatty tissue covered by skin. Ref BDC volume 3,sixth edition